Spirolactone is contraindicated with enalapril because it causes :
1. Hyperkalemia
2. Hypercalcemia
3. Hypernatremia
4. Hypokalemia

Correct answer: 1. Hyperkalemia